Agent of first choice in an acute attack of Prinzmetal's angina is
1. Diltiazem
2. Nitrates
3. Propranolol
4. Verapamil

Correct answer: 2. Nitrates

Explanation: Ref Harrison 19 th ed pg 1598 Prinzmetal's Variant Angina Nitrates and calcium channel blockers are the main therapeutic agents. Aspirin may actually increase the severity of ischemic episodes, possibly as a result of the sensitivity of coronary tone to modest changes in the synthesis of prostacyclin.